All can cause pulmonary eosinophilia except-
1. Necator americanus
2. Trichinella spiralis
3. Ankylostoma duodenale
4. Ascaris lumbricoides

Correct answer: 2. Trichinella spiralis

Explanation: Trichnella does not pass through the lungs during its life cycle. The other three pass through the lungs as a part of their life cycle. They cause Loffler's syndrome - in which eosinophils accumilate in the lungs in response to parasitic infection. Strongyloides can also cause Loffler's syndrome. Reference: Ananthanarayan and Paniker's Textbook of Microbiology Tenth edition